Which is NOT a third generation Cephalosporin
1. Ceftriaxone
2. Cefotaxime
3. Ceftizoxime
4. Cefuroxime

Correct answer: 4. Cefuroxime

Explanation: Ans. is 'd' i.e., Cefuroxime Third generation cephalosporins include Parenteral OralCefotaxime - CefiximeCeftizoxime - Cefpodoxime proxetilCeftriaxone - CefdinirCeftazidime - Ceftibuten Cefoperazone Also knowFourth generation cephalosporinsCefepimeCefaparole